Which of the following statins can be administered at any time during the day?
1. Lovastatin
2. Simvastatin
3. Pravastatin
4. Atorvastatin

Correct answer: 4. Atorvastatin

Explanation: Atorvastatin. Atorvastatin and rosuvastatin can be administered at any time of the day due to long half-lives (>12 hours). All other statins have a short half-life (<4 hours), hence given just before bedtime.